Hoarseness of voice in lung carcinoma is due to invasion of which structure?
1. Recurrent laryngeal nerve
2. Internal laryngeal nerve
3. Glossopharyngeal nerve
4. Vagus nerve

Correct answer: 1. Recurrent laryngeal nerve

Explanation: Ans. is 'a' i.e., Recurrent laryngeal nerve * Following table illustrates the effects of local invasion of lung carcinoma:Local Effects of Lung Tumor SpreadClinical FeaturePathologic BasisCough (50%-75%)Involvement of central airwaysHemoptysis (25% - 50%)Hemorrhage from tumor in airwayChest pain (20%)Extension of tumor into mediastinum, pleura or chest wallPneumonia, abscess, lobar collapseAirway obstruction by tumorLipoid pneumoniaTumor obstruction; accumulation of cellular lipid in foamy macrophagesPleural effusionTumor spread into pleura iHoarsenessRecurrent laryngeal nerve invasionDysphagiaEsophageal invasionDiaphragm paralysisPhrenic nerve invasionRib destructionChest wall invasionSVC syndromeSVC compression by tumorHorner syndromeSympathetic ganglia invasionPericarditis, tamponadePericardial involvementSVC, Superior vena cava